Female patient with bilateral hilar lymphadenopathy and joint pain. ACE levels are elevated. Diagnosis is?
1. Sarcoidosis
2. Silicosis
3. Hodgkins lymphoma
4. Non Hodgkins lymphoma

Correct answer: 1. Sarcoidosis

Explanation: Ans. (a) SarcoidosisRef.: Harrison 19th ed. / 2206Lofgren syndrome symptoms consist of fever, bilateral hilar lymphadenopathy (BHL), and polyarthralgias